Muscle relaxant used in renal failure -
1. Ketamine
2. Atracurium
3. Pancuronium
4. Fentanyl

Correct answer: 2. Atracurium

Explanation: As Atracurium and Cis-atracurium are inactivated by Hoffman's elimination, they are the muscle relaxants of choice for both liver and renal failure.